Which of the following anti-Parkinson drugs acts by decreasing brain cholinergic activity
1. Levodopa
2. Benserazide
3. Selegiline
4. Biperiden

Correct answer: 4. Biperiden

Explanation: An antiparkinson medication is a type of drug which is intended to treat and relieve the symptoms of Parkinson's disease. Most of these agents act by either increasing dopamine activity or reducing acetylcholine activity in the central nervous system. Ref: KD Tripathi 8th ed.